A homosexual person feels that "he is a woman trapped in a man's body" and has persistent discomfort with his sex. Most likely diagnosis is:
1. Trans - sexualism
2. Transvestism
3. Voyeurism
4. Paraphilias

Correct answer: 1. Trans - sexualism

Explanation: As mentioned in the question, the person is uncomfortable with his sex and feels that he is imposed by a female body (i.e., he is of another sex). Both are characteristics of gender identity disorder. TRANSEXUALISM: It is the severest form of gender identity disorders There is a sense of discomfort with anatomical sex organs & desires to get rid of them i.e., dissatisfaction with allotted sex. Phrases like - I am a male in female body or vice versa are quite characteristic of it. Observation for a long period of time is needed to be very certain of diagnosis Treatment: Sex Reassignment Surgery (SRS) with hormonal treatment TRANSVESTISM: episodic cross dressing to have a sense of belonging to opposite sex-Dual role Transvestism Cross dressing to attain sexual excitement-Fetishistic Transvestism(occurs exclusively in heterosexual males) VOYEURISM: Also known as scopophilia. This is a persistent or recurrent tendency of watching others in the act of sex or undressing This is often followed by masturbation to achieve orgasm Almost always seen in males Watching pornography is not included here. PARAPHILIAS: These are disorders of sexual preference in which sexual arousal occurs persistently and significantly in response to objects which are not a part of normal sexual arousal.